Most common cause of intestinal obstruction is?
1. Ileocaecal tuberculosis
2. Carcinoma colon
3. Intussusception
4. Adhesions

Correct answer: 4. Adhesions

Explanation: .Adhesions and bands are the commonest causes of intestinal obstruction in Western countries. In India, hernia and then adhesions are the two common causes of intestinal obstruction.Clinical features * Pain abdomen--colicky type and recurrent and episodic * Distension, vomiting * Constipation * Reduced bowel sounds on auscultation * Previous surgical scars commonly observed * Dehydration, tachycardia, hypotension. ref:SRB's manual of surgery ,ed 3,pg no 870